Viruses can be isolated from clinical samples by cultivation in the following except:
1. Tissue culture
2. Embryonated eggs
3. Animals
4. Chemically defined media

Correct answer: 4. Chemically defined media